True about Hyskon used as distending media in hysteroscopy are all except
1. Thick and sticky liquid media.
2. Hyskon coalesces with blood into globules while the medium remains clear.
3. It is not miscible with blood.
4. Poor optical quality.

Correct answer: 4. Poor optical quality.

Explanation: Hyskon  has good optical qualities.